Which of the following is MOST commonly affected by Crohn's Disease
1. Cecum
2. Rectum
3. Sigmoid colon
4. Terminal Ileum

Correct answer: 4. Terminal Ileum

Explanation: Ans. is 'd' i.e., Terminal ileum Inflammatory Bowel disease site of involvement Crohn's Ulcerative cocitis Any part of the Gout from mouth to anus Limited to the colon Most commonly affected is small intestine particularly ileum Involves the entire colon starting from the rectum (retrograde manner) Terminal ileitis or Rectum is most commonly affected Granulomatous colitis Ileum not involved may get involvedmay get involved in some cases (backwash ileitis). Rectum spared Full thickness of the intestine involved but in patchy manner skip lesions